Constituents of a typical embalming solution are all except -
1. Phenol
2. Glycerine
3. Formalin
4. Ethanol

Correct answer: 4. Ethanol

Explanation: Embalming solution contains formalin, methanol, phenol. Formalin one and half litres, sodium citrate 900g, sodium chloride 800g, sodium borate 600g, glycerine 600ml and one percent eosin 30 ml in ten litres water. Dr. Narayana Reddys Synopsis of Forensic Medicine & Toxicology 27 th edition pg. 87.